Which of the following is a PAN B lymphocyte.marker -
1. CD 19
2. CD 5
3. CD 10
4. CD 38

Correct answer: 1. CD 19